Drug acting tyrosine kinase receptor is
1. TRH
2. TSH
3. Insulin
4. MSH

Correct answer: 3. Insulin

Explanation: Drugs acting on tyrosinase kinase receptors - Prolactin Insulin Growth hormone TRH, TSH and MSH acts on GPCR receptors